Drug of choice for treatment of infestation due to Onchocerca volvolus is
1. Albendazole
2. Ivermectin
3. Praziquantal
4. Suramin

Correct answer: 2. Ivermectin

Explanation: DOC for all nematode including their larvae: ALBENDAZOL Exception:- FILARIA: DEC - STRONGYLOIDES, ONCHOCERCA: IVERMECTIN